Which is the treatment of choice for CA head of pancreas
1. Radiotherapy
2. Chemotherapy+ Radiotherapy
3. Whipple's Surgery
4. Resection of the entire pancreas with adjuvant chemotherapy

Correct answer: 3. Whipple's Surgery

Explanation: Answer- C. Whipple's SurgeryWhipples operation (Pancreaticoduodenectomy) is the most commonly performed operation for carcinoma of head of Pancreas.